Which of the following does not cause cornea verticillata
1. Indomethacin
2. Chloroquine
3. Fabry disease
4. Tay sach's disease

Correct answer: 4. Tay sach's disease

Explanation: Tay Sach's disease is not a causative factor . Cornea verticillata *Corneal verticillata, orvoex keratopathy,has as a whorl-like pattern of golden brown or gray deposits in the cornea *It is unusual for these deposits to result in reduction of visual acuity or ocular symptoms * The deposits typically resolve with discontinuation of the responsible agents. Cause:Cornea Verticillata *Indomethacin *Chloroquine *Fabry disease *Amiodarone *Phenothiazine